Complications of supracondylar fracture of humerus are all except -
1. Elbow stiffness
2. Malunion
3. Nonunion
4. Myositis ossification

Correct answer: 3. Nonunion

Explanation: Complications of supracondylar humerus fracture